Granulomatous appearance of lung with air bronchogram in neonates represents -
1. Aspiration pneumonia
2. Hyaline membrane disease
3. Staph pneumonia
4. ARDS

Correct answer: 2. Hyaline membrane disease

Explanation: Ans. is 'b' i.e., Hyaline membrane disease (HMD)